Periportal necrosis of liver is seen in
1. Shock
2. Yellow fever
3. Phosphorus poisoning
4. Viral hepatitis

Correct answer: 3. Phosphorus poisoning

Explanation: Periportal necrosis is seen in eclampsia, phosphorus poisoning.